Zone of Weil is
1. Cell rich zone
2. Cell free zone
3. Odontoblastic zone
4. None of the above

Correct answer: 2. Cell free zone